Which of the following hypnotic drugs facilitates the inhibitory actions of GABA but lacks anticonvulsant or muscle relaxing properties and has minimal effect on sleep architecture?
1. Buspirone
2. Diazepam
3. Phenobarbital
4. Zaleplon

Correct answer: 4. Zaleplon

Explanation: (Ref: KDT 6/e p398) * Zolpidem, zaleplon and zopiclone are agonists at BZD receptors. * These are hypnotic drugs that lack muscle relaxant and anticonvulsant actions. * These have negligible effect on REM sleep and do not affect sleep architecture.